All are clinical features of chalcosis except
1. Kayser - Fleischer ring
2. Sun - flower cataract
3. Deposition of golden plaques at the posterior pole
4. Dalen- fuch's nodules.

Correct answer: 4. Dalen- fuch's nodules.

Explanation: Dalen - fuch's nodules are formed due to proliferation of the pigment epithelium ----- sympathetic ophthalmitis.